Oculomotor nerve palsy show all of the following except -
1. Ptosis
2. Inability of lateral gaze
3. Paralysis of accommodation
4. Upward gaze not possible

Correct answer: 2. Inability of lateral gaze

Explanation: Ans. is 'b' i.e., Inability of lateral gaze Features of 3rd (occulomotor) nerve palsy* Paralysis of superior rectus, inferior rectus, medial rectus and inferior oblique. Eye is down and out due to unopposed action of superior oblique and lateral rectus. Medial 8c upward gaze is not possible.* Paralysis of sphinctor pupillae - Loss of ipsilateral direct and consensual pupillary light reflex and there is mydriasis.* Paralysis of ciliary muscle - Paralysis of accommodation.* Two extraocular muscles are sparedi) Superior oblique :- Intorsion, abduction and depression remain active.ii) Lateral rectus :- Abduction remains active. So eye is deviated lateraly.* Paralysis of levator palpabrae superioris -> Ptosis.